Term partialism refers to fetishes involving which of the following?
1. Nonsexual body part
2. Specific clothing
3. Specific type of food
4. Nonsexual behavior

Correct answer: 1. Nonsexual body part

Explanation: Ans. A. Nonsexual body partThe term partialism refers to fetishes involving nonsexual body parts (e.g., a foot fetish). Individuals who achieve sexual gratification with the use of objects, most commonly women's undergarments, shoes, stockings, or other clothing items, are fetishists. Fetishists often collect the object of their sexual gratification. Some of the more common objects are women's lingerie or specific materials such as silk, leather, or fur. Fetishism has been exclusively described in men and often exists with other paraphilias.